Cancer cells derive its nutrition from
1. a) Glycolysis
2. b) Oxidative phosphorylation
3. c) Increase in mitochondria
4. d) TCA

Correct answer: 1. a) Glycolysis

Explanation: Tissues depending mainly on glucose ( Glycolysis) as metabolic fuel-White fibres of skeletal muscle, mature erythrocytes, brain, GIT, renal medulla, skin, many cancer cells.